Which of the following situations will lead to increased viscosity of blood -
1. Fasting state
2. Hypoglycemia
3. Multiple myeloma
4. Amyloidogenesis

Correct answer: 3. Multiple myeloma

Explanation: Ans. is 'c' i.e., Multiple Myeloma In multiple myeloma M proteins increase in the blood, this may cause cryoglobulinemia which leads to increase in viscosity of the blood.Viscosity of the blood depends uponHematocritComposition of the plasmaHematocrit - (percentage of the volume of the blood occupied by red blood cells).Increase in hematocrit (e.g. Polycythemia) - Increase in viscosityDecrease in hematocrit (e.g.) Anemia - Decrease in viscosityComposition of the plasma - Composition of the plasma depends upon the presence of plasma proteins such as immunoglobulins and the resistance of the cells to deformation.Increase in plasma protein (immunoglobulin) - Increase in viscosity e.g. multiple myelomaIncrease in resistance of cells to deformation - Increase in viscosity e.g. hereditary spherocytosis